Neuroparalytic keratitis is due to which cranial nerve:
1. 3rd nerve
2. 5th nerve
3. 6th nerve
4. 7th nerve

Correct answer: 2. 5th nerve

Explanation: Ans. 5th nerve